Hypertriglyceridemia is seen in -
1. LDL receptor defect
2. Dysbetalipoprotenemia
3. Abetalipoproteinemia
4. all of the above

Correct answer: 2. Dysbetalipoprotenemia

Explanation: Ans is 'b' i.e., Dys-beta-lipoproteinemia